In an area not covered by measles immunization, the attack rate of measles is -
1. 70%
2. 80%
3. 90%
4. 100%

Correct answer: 3. 90%

Explanation: when the disease is introduced to a virgin community more than 90 % of that community will be infected (park,edition 23,page 146)